All are features of neurosis except ?
1. Symptoms cause subjective distress
2. Contact with reality preserved
3. Personality disturbances
4. Insight is maintained

Correct answer: 3. Personality disturbances

Explanation: Ans. is 'c' i.e., Personality disturbances